Basal ganglia consist of all the following except
1. Caudate nucleus
2. Subthalamic nucleus
3. Thalamus
4. Putamen

Correct answer: 3. Thalamus

Explanation: Basal GangliaOn each side of the brain, these ganglia consist of the caudate nucleus, putamen, globus pallidus, substantia nigra, and subthalamic nucleus.Ref: Guyton; 13th edition; Chapter 57 Contributions of the Cerebellum and Basal Ganglia to Overall Motor Control